Homicide by constriction of neck with rods is known as -
1. Mugging
2. Garrotting
3. Bansdola
4. Throttling

Correct answer: 3. Bansdola

Explanation: Ans. is 'c' i.e., Bansdola * Depending upon the method used to constrict the neck, strangulation can be divided into i) Ligature strangulation:#Neck is compressed by a ligature of which usually multiple rounds are given and no knot is tied.ii) Throttling (manual strangulation):#Neck is compressed by one or both hands.#When neck is compressed by two palms, it is known as palmar strangulation.iii) Bansdola:#Compression of neck with one or two wooden sticks or bamboo.iv) Garrotting:#It is compression of neck by a rope thrown from behind. Spanish windlass is a type of garrotting, which used to be the official mode of execution in Spain. In this, an iron collar around the neck was tightened by a screw for strangulation.v) Mugging (choke hold):#It is compression of neck by forearm or in the bend of elbow.vi) Strangulation by knee/foot:#In this, neck is compressed by knee or foot.